Which enzyme catalyses substrate level phosphorylation in Kreb's cycle?
1. ∝ Ketoglutarate dehydrogenase
2. Succinate thiokinase
3. Succinate dehydrogenase
4. Isocitrate dehydrogenase

Correct answer: 2. Succinate thiokinase

Explanation: Succinate thiokinase catalyses substrate level phosphorylation of TCA cycle. It is the only enzyme of TCA cycle doing that.